Vitamin B12 acts as a coenzyme to which one of the following enzymes?
1. Isocitrate dehydrogenase
2. Homocysteine methyl transferase
3. Glycogen synthase
4. G-6-P dehydrogenase

Correct answer: 2. Homocysteine methyl transferase